Typical lesion in hard chancre is:
1. Painless and indurated
2. Painful and indurated
3. Painless and non-indurated
4. Painful and non-indurated

Correct answer: 1. Painless and indurated

Explanation: Ans: A (Painless and indurated)Ref: Thappa DM. editor. Essentials in Dermatology, 2nd edn. New Del hi: JaypeeExplanation:Primary SyphilisPainless chancre (Primary Chancre/Hunterian Chancre,''Hard Chancre)Typical chancre is round or oval ulcer, 1-2 cm across, has indurated margin, clear base and without any exudateModerate enlargement of inguinal lymph nodesNontender, nonsuppurative, firm, shottv (Indolent bubo)Relapse of primary syphilis extremely rare (Chancre Redux)Secondary SyphilisLesions are due to hematogeneous dissemination of treponomesFlu I ike symptoms - malaise, loss of appetite, fever, headache, stiff neck, myalgia and arthralgiaSkin manifestation are termed as 'Syphilids', are asymptomatic, polymorphous, variegate, bilateral and symmetricalEvanescent macular rash involving entire trunk, extremities and palms and solesPapular lesions demonstrate ollendor fsignEven nodules may appear: They may be pustular but never vesicularCondylomata lata: The moist, smooth surfaced warty intertriginous plaques (Most Infectious Lesion)Generalised lymphadenopathy: especially epitrochlear lymph nodes'Moth eaten alopecia' in scalpTertiary SyphilisGummatous: Non tender, pink to dusky red nodules or plaques that vary in sizeCardiovascular and neurosyphilis